In pregnancy with hypertension which drug is given:
1. Propranolol
2. Acebutalol
3. Metoprolol
4. Labetalol

Correct answer: 4. Labetalol

Explanation: Ans. (d) LabetalolRef: Dutta obs 7/e 228, William obs 22/e 728